Endoscopes are strelized by:
1. Glutaraldehyde
2. Autoclave
3. Formaldehyde
4. Hot air oven

Correct answer: 1. Glutaraldehyde

Explanation: Glutaraldehyde